Least common presentation of HCC
1. PUO
2. Mass
3. Jaundice
4. Weakness

Correct answer: 1. PUO

Explanation: On rare occasions, HCC can present as a rupture with the sudden onset of abdominal pain followed by hypovolemic shock secondary to intraperitoneal bleeding Other rare presentations include hepatic vein occlusion (Budd-Chiari syndrome), obstructive jaundice, hemobilia or fever of unknown origin(PUO) Ref: Sabiston 20th edition Pgno : 1459